The fatal dose of absolute alcohol in an adult is
1. 30 ml
2. 60 ml
3. 90 ml
4. 150 ml

Correct answer: 4. 150 ml

Explanation: D i.e. 150 ml